Colliquative liquefaction is seen within -____after death
1. Immediately
2. 24 hours
3. 72 hours
4. 1 week

Correct answer: 4. 1 week

Explanation: o Colliquative putrefaction (liquefaction of body) is seen in 7-12 days.